The amino acid producing ammonia in kidney is
1. Glutamine
2. Alanine
3. Methionine
4. Glycine

Correct answer: 1. Glutamine

Explanation: Ans. is 'a' i.e. Glutamine Ammonia ( N 3/4 ) is produced by the hydrolysis of Glutamine by the enzyme glutaminase in renal tubular cells H2OGlutamine - Glutamic acid + NH3 (or Glutamate) GlutaminaseGlutamic acid can be further catalyzed by glutamic dehydrogenase into a-ketoglutarate producing more ammonia.Ammonia being lipid soluble readily diffuses across the cell membranes into the tubular urine. In the urine it reacts with H+ from NH4+ and the NH4+ remains in the urine.Production of ammonia is one of the renal mechanisms of acid-base balanceThe NH3 production is greatly increased in metabolic acidosis and negligible in alkalosis.If the cells require more NH3, it can be formed from glycine by glycine oxidase and other amino acids by L-amino acid oxidase (Production of ammonia from glutamine in the principal mechanism).